True regarding adenomyosis:
1. More common in nullipara
2. Progestins are not useful
3. Presents with menorrhagia, dysmenorrhea and enlarged uterus
4. Causes no enlargement of uterus.

Correct answer: 3. Presents with menorrhagia, dysmenorrhea and enlarged uterus

Explanation: Ans. C. Presents with menorrhagia, dysmenorrhea and enlarged uterusWomen suffering from adenomyosis are usually parous around 40 yrs who present with menorrhagia and progressively increasing dysmenorrhea. Pelvic discomfort, backache and dyspareunia are other symptoms. Clinical examination reveals a symmetrical enlargement of uterus if adenomyosis is diffuse and the uterus is tender. If adenomyosis is localized, enlargement of uterus is asymmetrical.a. There is no satisfactory proven medical treatment for adenomyosis. Occasionally, patients with adenomyosis are treated with GnRH agonists, cyclic hormones, or prostaglandin synthetase inhibitors for their abnormal bleeding and pain.b. Hysterectomy is the definitive treatment if this therapy is appropriate for the woman's age, parity, and plans for future reproduction.c. For a woman in her late 40s, the ovaries are often removed as a prophylactic measure against ovarian carcinoma